Operator notes the lifting of tray with impression with protrusion of tongue, it should be readapted in
1. Hamular notch
2. Palatoglossus area
3. Retromolar pad area
4. Anterior labial flange reduced

Correct answer: 2. Palatoglossus area